The most radio sensitive tumor amongst the following is:
1. Small cell lung cancer
2. Seminoma
3. Soft tissue sarcoma
4. Osteosarcoma

Correct answer: 2. Seminoma

Explanation: Ans. (b) SeminomaRef: Devita Th/1907* Most radiosensitive tumor: HL > Ewings* Most radiosensitive tumor of head and Neck: Nasopharyngeal CA > Glottic CARadiosensitivity of tumorsHighly sensitiveModerate sensitiveRelatively ResistantHighly Resistant# Ewing's sarcoma# Lymphoma# Wilms tumor# Multiple Myeloma# Seminoma# Nasopharyngeal CA# Dysgerminoma# Medulloblastoma# Small Cell Cancer lung# Breast Cancer# Ovarian Cancer# Basal cell cancer# Nasopharyngeal Cancer# Dysgerminoma# Small Cell Cancer lung# Breast Cancer# Ovarian Cancer# Basal cell cancer# Renal cell CA# Rectal/ colon cancer# Bladder Carcinoma# Soft tissue sarcoma Squamous cell carcinoma of lung# Cervix cancer# Hepatoma# Melanoma# Pancreatic cancer# Osteosarcoma